A 30 year old male, who met with a RTA, regained conscious after 36 hours. It was then discovered that the patient is unable to create new memories. The probable site of lesion for this symptom is
1. Amygdala
2. Neocortex
3. Hippocampus
4. Hypothalamus

Correct answer: 3. Hippocampus

Explanation: From the history, it is clear that the patient is suffering from anterograde amnesia. Therefore the site of lesion is hippocampus. Hippocampus is the primary structure within temporal lobe involved in conversion of short-term memory to long-term memory. Hippocampal cognitive map is inappropriately reactivated during a deja vu experience. Hippocampus doesnot store memory but only converts short-term memory to long-term memory. Hence, hippocampal lesions cause only anterograde amnesia. Ref: Ganong's Review of Medical Physiology 25th edition Pgno: 285, 288